True about citrate in ORS
1. Cheaper
2. Nutritious
3. Increases shelf
4. Tastier

Correct answer: 3. Increases shelf

Explanation: In WHO ORS, sodium bicarbonate has been replaced by trisodium citrate: –
Makes the product more stable –
Results in less stool output (especially in high-output diarrhoea like cholera) as it increases intestinalabsorption of sodium and water